Characteristic of Barrett's esophagus is?
1. Increased risk of SCC
2. Columnar Metaplasia
3. Most commonly in middle one third of esophagus
4. Gastric metaplasia is most common

Correct answer: 2. Columnar Metaplasia

Explanation: Ans. is 'b' i.e. Columnar metaplasia * Barrett's esophagus is a metaplasia in which normal squamous epithelium of lower part of esophagus is replaced by columnar epithelium due to prolonged esophageal reflux.* Most common type of metaplasia in Barrett's esophagus is intestinal metaplasia which is characterized by presence of intestinal goblet cells in the metaplastic columnar epithelium.* Barrett's esophagus is a pre-malignant condition. It is the single most important risk factor for adenocarcinoma of esophagus.